TATA box is seen in ?
1. Promoter region
2. Palindromic region
3. Enhancer region
4. Silencer region

Correct answer: 1. Promoter region

Explanation: Ans. is 'a' i.e., Promoter region